The following statements are related to occipitoposterior except
1. malrotation of occiput may cause occipitosacral arrest
2. 10% cases are associated with anthropoid or android pelvis
3. Incomplete forward rotation of occiput may cause deep transverse arrest
4. Nonrotation of occiput may cause are associated

Correct answer: 2. 10% cases are associated with anthropoid or android pelvis

Explanation: Occipitoposterior position The occiput is in the posterior segment of pelvis ,over lying the sacroiliac joint or the sacrum.Occipitoposterior position is responsible for most cases of prolonged labour and second stage delay and is the most common cause of a mobile head at term (refer pgno:365 Sheila textbook of obstetrics 2 nd edition)